First requisite before conducting an interview is
1. Securing rapport
2. Probe questions
3. Establishing contact
4. Guiding the interview

Correct answer: 3. Establishing contact

Explanation: Steps of interview: Establishing contact: First requisite before conducting an interview Starting an interview Securing rapport Recall Probe questions Encouragement Guiding the interview Closing the interview Report Ref: Park 25th edition &; pgno: 732